Small intestine in intestinal obstruction is distinguished radiologically from large intestine by –
1. Haustration
2. Valvulae conniventes
3. Can not be distinguished
4. None

Correct answer: 2. Valvulae conniventes

Explanation: Valvulae conniventes are present in small intestine (particularly in jejunum) but not in large intestine.